Carbon Monoxide Poisoning leads to?
1. Histotoxic hypoxia
2. Stagnant hypoxia
3. Hypoxic hypoxia
4. Anemic hypoxia

Correct answer: 4. Anemic hypoxia

Explanation: Anemic hypoxia REF: Ganong's physiology 22nd edition, chapter 37, Fundamentals of Human Physiology by Lauralee Sherwood page 371 Repeat form December 2009 See APPENDIX-42 for "TYPES OF HYPDXIA"